Hot air oven is used for sterilization of all except -
1. Glass wares
2. Dusting Powder
3. L.J.media
4. Liquid paraffin

Correct answer: 3. L.J.media

Explanation: Hot air oven - most widely used method of sterilization by dry heat Temperature for sterilization - 160degC for 2 hours Control used - spores of Bacillus subtilis Materials sterilized - 1) Glassware like glass syringes, petri dishes, flasks, pipettes & test tubes 2) Surgical instruments like scalpels, forceps etc. 3) Chemicals such as liquid paraffin, fats, glycerol etc. Culture Media are sterlized by Autoclaving.